The most common cause of preventable Hospital Death is-
1. Acute Pulmonary' Embolism
2. Heart Failure
3. Myocardial infarction
4. Cancer

Correct answer: 1. Acute Pulmonary' Embolism

Explanation: Ans. is 'a' i.e.. Acute Pulmonary Embolismo Acute Pulmonary! Embolism is the most common cause of Preventable Hospital DeathAcute Pulmonary Embolism is the third most common cause of hospital death in the united states after heart failure and cancer.Acute Pulmonary Embolism is the most common cause of preventable hospital death.Acute Pulmonary Embolism is the most common cause of death after surgery in a surgical patient.